3-year-old girl with a history of hydrocephalus, c/o severe headache and fever. The girl underwent a revision of a ventricular-peritoneal shunt 1 month ago, and the neurologist suspects an infection . Which of the following organisms would most likely be isolated from the shunt tubing?
1. Bacteroides fragilis
2. Corynebacterium diphtheriae
3. Escherichia coli
4. Staphylococcus epidermidis

Correct answer: 4. Staphylococcus epidermidis

Explanation: Staphylococcus epidermidis is the most likely organism to be isolated from shunt tubing . Staphylococcus epidermidis CONS which is less pathogenic but it also cause infection in case of an intervention Produces biofilms - adhere to the surface of shunts with the help of these biofilm Novobiocin sensitive